Dye is injected in one of the extremities in a child and is followed by pain and swelling of upper limb, paraesthesias of fingers, stretch pain and normal peripheral pulses, management is:
1. Aspiration
2. Anti-Inflammatory
3. Observation
4. Fasciotomy

Correct answer: 4. Fasciotomy

Explanation: (d) Fasciotomy- As patient is clinically a case of compartment syndrome -pain on passive stretch and he has paraesthesias so fasciotomy is indicated.- Remember Pulses can be normal in compartment syndrome.